Most common cause of small intestine obstruction
1. Malignancy
2. Adhesions
3. Crohn’s disease
4. Hernias

Correct answer: 2. Adhesions

Explanation: Causes of small bowel obstrucon Post op adhesions > Malignancy > Crohn disease > Hernia